The conditioned gingival enlargement
1. Requires presence of local irritants
2. Exacerbates existing inflammation
3. Pregnancy & puberty are the examples
4. All of the above

Correct answer: 4. All of the above